Ethosuximide can be used for the treatment of :
1. Generalized tonic clonic seizures
2. Absence seizures
3. Complex seizures
4. Myoclonic seizures

Correct answer: 2. Absence seizures